All true about microlaryngoscopy tube (MLT) except:-
1. These tubes comes in these sizes 4.0, 5.0 and 6.0 mm
2. It is particularly useful for laryngeal surgery
3. It is longer than standard ETT
4. There is relatively low resistance to gas flow in there tubes.

Correct answer: 4. There is relatively low resistance to gas flow in there tubes.

Explanation: These tubes come in three sizes, 4.0, 5.0 and 6.0mm. The size 5.0mm tube is the most commonly used. Microlaryngoscopy tube (MLT) vs. standard ETT The MLT is often used in place of a standard small diameter ETT to facilitate Direct Laryngoscopic procedures utilizing Microlaryngoscopy techniques. The surgeon prefers a small diameter ETT to facilitate the view of the airway.